which of the following is derived from surface ectoderm-
1. Iris
2. Sclera
3. Lens
4. Optic nerve

Correct answer: 3. Lens

Explanation: Ans. is 'c' i.e., Lens PrecursorDerivativesNeural ectodermSmooth muscle of the iris, opticle vesicle and cup, iris epithelium, ciliary epithelium, Part of the vitreous, Retina, Retinal pigment epithelium, fibres of the opric nerve.Surface ectodermConjunctiva] epithelium , Corneal epithelium. Lacrimal glands, Tarsal glands. Lens .MesodermExtraocular muscles, corneal stroma, sclera, iris. Vascular endothelium. Choroid, Part of the vitreous.Neural crestCorneal stroma, keratocytes and endothelium, Sclera, Trabecular meshwork endothelium. Iris stroma, Ciliary muscles, Choroidal stroma. Part of the vitreous, Uveal and conjunctival melanocytes. Meningeal sheaths of the optic nerve, Ciliary ganglion, Schwann cells, orbital bones, Orbital connective tissue, Connective tissue sheath and muscular layer of the ocular and orbital blood vessels.